Collagen present in basement membrane
1. Type I
2. Type II
3. Type III
4. Type IV

Correct answer: 4. Type IV

Explanation: Ans. is 'd' i.e., Type IV